Which of the following is not seen in exudative type of ascites?
1. Protein > 2.5 gm/dl
2. Specific gravity > 1.016
3. SAAG> 1.1 gm/dl
4. None of the above

Correct answer: 3. SAAG> 1.1 gm/dl

Explanation: Ans: c (SAAG >1.1 gm/dl) Ref: Harrison, 16th ed, p. 245,17th ed, p.In exudative ascites SAAG <1.1SAAG is serum ascites albumin gradient. It is the difference between serum albumin and ascitic fluid albumin. In exudative ascites, the ascitic fluid albumin is more so S AAG is less than 1.1 gm/dlExudative ascitesProtein concentration > 2.5 gm/dlSpecific gravity >1.016SAAG< 1.1 gm/dlTransudative ascitesProtein concentration < 2.5 gm/dlSpecific gravity < 1.016S AAG > 1.1 gm/dlCauses of exudative ascitesTuberculousMalignantBacterial peritonitisPancreatic ascitesCauses of transudative ascitesCirrhosis and portal hypertensionCongestive cardiac failureNephrotic syndromeConstrictive pericarditisBeriberiHypoproteinaemiaInferior venacaval obstructionCauses of chylous ascitesTraumaTumorTuberculosisFilariasisNote:Ascitic amylase activity > 1000 U/l is suggestive of pancreatic ascitesIn spontaneous bacterial peritonitis polymorphonuclear leucocyte count > 250/cubic mm-Mucinous ascites is seen in Pseudomyxoma peritonei